Drug of choice for Mountain sickness:
1. Cinnarizine
2. Acetazolamide
3. Furosemide
4. Beta Histidine

Correct answer: 2. Acetazolamide

Explanation: Acetazolamide is a carbonic anhydrase inhibitor used in mountain sickness to reduce intracranial tension.